Which of the following is true -a) HSP is associated with IgG depositionb) HUS causes thrombocytopeniac) Inulin clearance is best measure of GFRd) PSGN is associated with increased complement
1. a
2. c
3. bc
4. ad

Correct answer: 3. bc